Rehabilitation of person with aphakia is best done by:
1. Posterior chamber IOL
2. Spectacle
3. Anterior chamber IOL
4. Contact lens

Correct answer: 1. Posterior chamber IOL

Explanation: Ans: A (Posterior chamber IOL) Ref: Parson's Diseases of the Eye; 21st edition; pg: 275-276Explanation:"The best optical rehabilitation of an aphakic patient is intraocular lens implantation. Among the IOLsr PCIOL is the best choice. The posterior chamber IOL (PCIOL) is placed in the capsular bag after removal of the cataractous lens. Hence it is more physiological in position. " Ref: ParsonOptical Rehabilitation in AphakiaThe best optical rehabilitation of an aphakic patient is intraocular lens implantation.PCIOL is the best choice among IOL,The posterior chamber IOL [PCIOL) is placed in the capsular bag after removal of the cataractous lens. Hence it is more physiological in position.The anterior chamber IOL (ACIOL) is placed anterior to the iris.ACIOL is used when the posterior lens capsular support is compromised like intraoperative posterior capsular rent or subluxated / dislocated lens.The risk of complications of ACIOL are high when compared with the PCIOL.Common complications of lOLs [More common with ACIOL).o Iritis.o Secondary glaucomas.o Pupillary block glaucoma.o Corneal endothelial decompensation.o UGH syndrome-Uveitis, Glaucoma, Hyphaema syndrome can also occur.Comparison of spectacles, contact lens and IQLs in Aphakia SpectaclesContact lensIOLsFeatures* Heavy (High power lens)* Cosmetically poor* Blind without glasses* Daily cleaning andmaintenance ss essential to prevent corneal infections* insertion and removal of lens is cumbersome* Blind without lenses* Comfortable in every wayMagnificationMagnification of images is 25 - 30%Magnification of images is 8%Magnification of images is 1- 2%Adverseeffects* Spherical aberrations - pin cushion effect* Restricted field* Jack in the box phenomenon* Roving ring scotomaNilNil